Chediak Higashi syndrome is characterised by the following except -
1. Neutrophilia
2. Defective degranulation
3. Delayed microbial killing
4. Giant granules

Correct answer: 1. Neutrophilia

Explanation: ananthanarayanan textbook of microbiology 9th edition. *chediak Higashi syndrome is an immunodeficiency disease in which leukocytes posses diminished phagocytic activity .it is a genetic disease characterised by decreased pigmentation of skin,eyes and hair and giant peroxidise positive inclusion in the cytoplasm of leukocytes